Muscle glycolysis is increased by:
1. Epinephrine
2. Acetylcholine
3. Histamine
4. Serotonin

Correct answer: 1. Epinephrine